Most important receptor involved in chemotherapy induced vomiting is:
1. Histamine H1 receptor
2. Serotonin 5-HT3 receptor
3. Dopamine D2 receptor
4. Opioid m receptor

Correct answer: 2. Serotonin 5-HT3 receptor

Explanation: -5HT3 receptors are present in CTZ and are involved in chemotherapy induced vomiting. -Antagonist of this receptor like ondansetron is drug of choice for chemotherapy induced vomiting.